Which organism can be isolated from stool & sputum-
1. Paragonimus
2. Fasciola
3. Clonorchis
4. P carini

Correct answer: 1. Paragonimus

Explanation: Ans. is 'a' i.e., Paragonimus o Two organisms can be isolated from both sputum and stool i) Trophozoite of E. histolytica ii) Eggs of Paragonimus Showing various forms of parasites seen different specimen From Parasite CSF Faeces T rophozoite Naegleria fowleri, Acanthamoeba sp Trophozoite E. histolytica, G Labia, T. Ttypomastigote Trypanosoma hominis, B. coli Bone marrow Cyst E. histolytica. G lambia, B. coli Amastigote L. donovani Oocyst I. belli, Cryptosporidium sp Tachyzoites T. gondii Adult worm A. lumbricoides, E. vermicularis F. buski Lymph gland aspirate/biopsy Adult worm - W. bancrofti, (in histopathological B. malayi section) Segments T. solium, T. saginata. D. latum, Trypomastigote Trypanosoma sp D. caninum Amastigote L. donovani Larva S. stercoralis Tachyzoite T.gondii Egg T. solium. T. saginata, H. nana, Liver aspirate D. latum, D. caninum (generally egg capsule containing up to 20 egg), O. sinensis, O. felineus, Trophozoite E. histolytica Amastigote L. donovani Tachyzoite T. gondii H. heterophyes, M. yokogawai,F. hepatica, F. gigantica, F. buski Spleen aspirate Dicrocoelium sp. G hominis. Amastigote L.donovani Schistosoma sp. A. lumbricoides Tachyzoites T, gondii E. vermicularis, T. trichura, Skin A. duodenale, N. americanus, Amastigote Leishmania sp Trichostrongylus sp. Capillaria sp. Microfilaria O. volvulus Paragon imus sp Larva in ulcer fluid D. medinensis D. latum, D. caninum (generally Egg on perianal skin E. vermicularis. Taenia saginata